Sixth cranial nerve lies at?
1. Midbrain
2. Pons
3. Medulla
4. Cerebellum

Correct answer: 2. Pons

Explanation: Sixth cranial nerve which supplies the lateral rectus muscle of the eyeball. one nerve fibre supplies approximately six muscles fibers. Abducent nucleus is situated in the upper part of the floor of fourth ventricle in the lower pons, beneath the facial colliculus.ventromedially it is closely related to the medial longitudinal bundle. Ref;BDC volume 3;6th edition.